Burkitt's lymphoma is associated with which of the following genetic abnormality-
1. t(9:22)
2. del.5q
3. t(8:14)
4. t(17:15)

Correct answer: 3. t(8:14)

Explanation: Ans. is 'C' i.e., t(8:14) o t(8:14) is the most common translocation seen in association with Burkin's Lymphoma. # Demonstration ofvety high proliferative fraction and the presence of the t (8:14) or one of its variants t (2:8) or t(8:22) can be confirmatory of Burkiti s lymphoma/leukemia Translocation in Burkitt's Lymphoma Burkitt s lymphoma/leukemias are associated with reciprocal translocations involving the c-myc gene on chromosome 8 | | Most common translocation (70%cases) Less common translocations t (8 : 14): c- may gene on chromosome 8 and lgH heavy chain on chromosome 14 t (8 : 22) c- myc gene on chromosome 8 and l-light chain on chromossome 22 t (2 :8): c- mye gene on chromosome 8 and l-light chain on chromosome -2